The commonest mode of inheritance of von Willebrand's disease:
1. Codominant
2. Autosomal recessive
3. Autosomal dominant
4. X-linked recessive

Correct answer: 3. Autosomal dominant

Explanation: - Most common type of vWD is type I, which has autosomal dominant inheritance